Which of the following is best stain for fungus:
1. Muciramine
2. Methenamine silver
3. Alcian blue
4. Hematoxylin and eosin

Correct answer: 2. Methenamine silver

Explanation: Ans. (b) Methenamine silver Ref. Ananthanarayan 8/e p 601; DR Arora 3/e 656 Stains for funp. Gomori methenamine silver (GMS) (Better contrast) Gridley fungus (GF) Periodic acid Schiff (PAS) Giemsa Alcian blue Meyer's mucicarmine Out of these GMS is the best stain for fungi. For studying tissue response secondary to fungal infection, Haematoxylin and eosin (H&E) is best. Remember Commonly used culture media for fungus are: - Sabouraud's glucose agar - Corn meal agar - Czapek - Dox medium